Which of the following structures form the superior border of Epiploic foramen ?
1. Quadrate lobe of liver
2. Caudate process of caudate lobe of liver
3. Porta hepatis
4. First part of the duodenum

Correct answer: 2. Caudate process of caudate lobe of liver

Explanation: In human anatomy, the omental foramen (Epiploic foramen, foramen of Winslow, or uncommonly aditus) is the passage of communication or foramen, between the greater sac (general cavity of the abdomen) and the lesser sac.Borders of Epiploic foramen: It has the following boundaries:Anteriorly : free border of lesser omentum, bile duct, hepatic artery and portal vein.Posteriorly : Inferior vena cava, right suprarenal gland and T12 vertebraeSuperiorly : Caudate process of caudate lobe of liverInferiorly : First part of the duodenum and horizontal part of hepatic artery